The presence of small sized platelets on the peripheral smear is characteristic of which of the following conditions?
1. Idiopathic thrombocytopenic purpura
2. Bernard Soulier syndrome
3. Disseminated intravascular coagulation
4. Wiskott Aldrich syndrome

Correct answer: 4. Wiskott Aldrich syndrome

Explanation: Small sized platelets is seen in Wiskott Aldrich syndrome.